Which is inhibitor to cytochrome oxidase?
1. Malonate
2. BAL
3. Oligomycin
4. Cyanide

Correct answer: 4. Cyanide

Explanation: Ans. is 'd' i.e., Cyanide Inhibitors of Electron transport chain (Respiratory chain)o Complex I:- Barbiturates (amobarbital), piercidin A, rotenone, chlorpromazine, guanithidine.o Complex II:- Carboxim TTFA, malonate.o Complex III :- Dimercapro!, BAL. actinomycinA, Naphthyloquinone.o Complex IV(cytochrome c oxidase) Carbon monoxide (CO), cyanide (CN-), H2S, azide (N3-)